Trantas spots are seen in –
1. Vernal conjunctivitis
2. Eczematous conjunctivitis
3. Ophthalmia nodosa
4. Tularemia

Correct answer: 1. Vernal conjunctivitis

Explanation: Tranta's spots (Horner tranta's spots) are discrete white raised dots along the limbus and are composed of degenerated eosinophils.